Sources of NADPH are :
1. Malic enzyme
2. Cytoplasmic isocitrate dehydrogenase
3. Pentose phosphate pathway
4. All of the above

Correct answer: 4. All of the above

Explanation: These are the only 3 sources of NADPH that are currently known.